Insulin acts on which enzyme in glycoysis-
1. Glucokinase
2. Hexokinase
3. Glucose 6-Phosphatase
4. Adenylate kinase

Correct answer: 1. Glucokinase

Explanation: A i.e. GlucokinaseIn glycolysis insulin acts on hexokinase IV (i.e. glucokinase) and hexokinase IIQ but not on other (I & III) hexokinase